Yellowing of the skin occurs in hypothyrodlsm bcausc of -
1. Increased bilirubin
2. Increased cholesterol
3. Increased carotene
4. Increased

Correct answer: 3. Increased carotene

Explanation: Question repeated